Complications of cholera are all of the following except:
1. Metabolic alkalosis
2. Metabolic acidosis
3. Acute renal failure
4. Hypovolemic shock

Correct answer: 1. Metabolic alkalosis

Explanation: Ans. A: Metabolic alkalosis The loss of sodium and water causes severe diarrhea, called "ricewater stool". Acute dehydration, hypovolemic shock, and metabolic acidosis follow quickly. The patient exhibits dry skin, sunken eyes, lethargy, cyanosis, a weak pulse, faint heart sounds, hemoconcentration, and elevation of serum proteins. Patients are usually afebrile, body temperature may be subnormal. The fluid in diarrhoea contains large amounts of sodium, chloride, bicarbonate, and potassium, as well as mucus; the loss of these electrolytes causes blood volume depletion, low blood pressure, and shock.